Drug of choice for treatment of Pneumocystitis jiroveci pneumonia is
1. Cotrimoxazole
2. Amoxicillin
3. Dexamethasone
4. Ceftriaxone

Correct answer: 1. Cotrimoxazole

Explanation: DOC for both prophylaxis and treatment of Pneumocystis jiroveci pneumonia is Cotrimoxazole Other drugs that can be used are Dapsone Clindamycin Pentamidine Atovaquone